The "dilapidated brick wall" appearance is classically seen in the histopathology of the following?
1. Hailey Hailey disease
2. Pemphigus vulgaris
3. Darier's disease
4. Bullous pemphigoid

Correct answer: 1. Hailey Hailey disease

Explanation: Hailey Hailey disease/familial benign chronic pemphigus has full thickness partial acantholysis resulting in this appearance. Ref: Rook Textbook of Dermatology, 8th Edition, Page 39.33.